All of the following statements about amiodarone induced thyroid dysfunction are true except:
1. Amiodarone inhibits deiodinase
2. Amiodarone induced hyperthyroidism is common in Iodine deficiency
3. Amiodarone induced hypothyroidism is more prevalent in men
4. Amiodarone is associated with an initial reduction of serum T4

Correct answer: 3. Amiodarone induced hypothyroidism is more prevalent in men

Explanation: Amiodarone induced hypothyroidism is more prevalent in men